Menorrhagia is defined as
1. Intermenstrual bleeding
2. Menses in less than 28 days
3. Increased loss of blood than normal during menses
4. Menses every more than 45 days.

Correct answer: 3. Increased loss of blood than normal during menses

Explanation: Ans. c (Increased loss of blood than normal during menstrual cycle). (Ref. Shaw's textbook of Gynaecology 13th ed. 291)A normal menstrual blood loss is 50-80 ml, & does not exceed 100 ml. Menorrhagia is increase in duration & quantity of menstrual loss (> 100 ml).